In acute inflammation, contraction of endothelial cells results in the following:
1. Delayed transient increase in permeability
2. Early transient increase in permeability
3. Delayed permanent increase in permeability
4. Early permanent increase in permeability

Correct answer: 2. Early transient increase in permeability

Explanation: Endothelial cell contraction leading to intercellular gaps in postcapillary venules is the most common cause of increased vascular permeability. Endothelial cell contraction occurs rapidly after binding of histamine, bradykinin, leukotrienes, and many other mediators to specific receptors, and is usually short lived (15-30 min). Ref: Robbins Basic Pathology edited by Vinay Kumar, Abul K. Abbas, Jon C. Aster, 2012, Page 34.